All are true about Bacterial vaginosis except
1. Vaginal pH <4.5
2. Nugent scoring can be used for diagnosis
3. Fishy smelling discharge after addition of KOH
4. Presence of clue cells is pathognomic

Correct answer: 1. Vaginal pH <4.5

Explanation: Amsel's criteria is used for diagnosis of bacterial vaginosis although Nugent scoring can also be used Amsel's criteria Vaginal pH> 4.5 Discharge when put in 10 % KOH produces fishy smell Clue cells are seen Clue cells are vaginal squamous epithelial cells coated with Gardnerella vaginalis